Mutation in Marfan's syndrome involves?
1. Collagen I
2. Collagen IV
3. Fibrillin I
4. Fibrillin II

Correct answer: 3. Fibrillin I

Explanation: Ans. is 'c' i.e., Fibrillin IMarfan syndrome results from inherited defect in an extracellular glycoprotein fibrillin - 1 on chromosome - 15. It has autosomal dominant inheritance.